STEPS is related:
1. To study surveillance of risk factors for noncommunicable diseases
2. To study surveillance of incidence for noncommunicable diseases
3. To study surveillance of mortality for non-communicable diseases
4. To study follow-up to treatment of non-communicable diseases

Correct answer: 1. To study surveillance of risk factors for noncommunicable diseases

Explanation: To study surveillance of risk factors for noncommunicable diseases